True about heparin induced thrombocytopenia are all except :
1. Low molecular weight heparins should not be used for treatment
2. It causes both arterial and venous thrombosis
3. More common with fractionated heparin
4. Occurs after about a week of heparin therapy

Correct answer: 3. More common with fractionated heparin